Hypoglossal nucleus lies on
1. Mid brain
2. Pons
3. Medulla
4. Lower pons

Correct answer: 3. Medulla

Explanation: Hypoglossal nucleus is an elongated column of grey matter extending throughout the length of medulla oblongata in the paramedian plane. Note: *Midbrain - nuclei of 3,4 cranial nerves *Pons - nuclei of 5,6,7,8 cranial nerves * Medulla- nuclei of 9,10,11,12 cranial nerves (Ref: Vishram Singh textbook of clinical neuroanatomy second edition pg -91, 92)